Anaesthetic agent causing hallucination is
1. Ketamine
2. Ether
3. Nitrous Oxide
4. Cyclopropane

Correct answer: 1. Ketamine

Explanation: Ans. is 'a' i.e. Ketamine Ketamine is an analogue of phencyclidine and therefore it causes hallucinations.Facts you must always remember about Ketamine.It causes Dissociative Anaesthesia *It causes sympathetic stimulation which leads to* Cardiac stimulation-increase O2 demand** Bronchodilation-it is anaesthetic of choice for Bronchial Asthma* Increase all pressure*-B.P. I.C.T. I.O.P.* It causes muscular rigidity* It increases salivation so Atropine is always given with it*